A 25-year-old woman complains of intense depressed mood for 6 months with an inability to enjoy previously pleasurable activities. This symptom is known as
1. Anhedonia
2. Avolition
3. Apathy
4. Amotivation

Correct answer: 1. Anhedonia

Explanation: In schizophrenia, the disorders of affect include apathy, emotional blunting, emotional shallowness, anhedonia (inability to experience pleasure) and inappropriate emotional response (emotional response inappropriate to thought). negative symptoms of schizophrenia include affective flattening or blunting, attentional impairment, avolition-apathy (lack of initiative associated with psychomotor slowing), anhedonia, asociality (social withdrawal), and alogia (lack of speech output). Ref: A short textbook of psychiatry, Niraj Ahuja, 7th edition, pg no.56) Anhedonia: Loss of interest in and withdrawal from all regular and pleasurable activities. Often associated with depression.